Meningococcal vaccines should be stored at -
1. -4 oC
2. 0 oC
3. 2-8 oC
4. -20 oC

Correct answer: 3. 2-8 oC

Explanation: Meningococcal vaccines should be stored at 2-8oC . Ref: PARK'S TEXTBOOK OF PREVENTIVE AND SOCIAL MEDICINE 23rd edition , Page :167